Reinke's space is seen in which of the following?
1. Vocal cords
2. Subglottis
3. Epiglottis
4. Pharynx

Correct answer: 1. Vocal cords

Explanation: Ans. is 'a' i.e., Vocal cords * Reinke's space Is a potential subepithelial space between the glottic epithelium and the vocal ligament.Reinke's oedema (polypoid degeneration of vocal cord)* It is the edema of margins of the vocal cord so the free margin is polypoid and a large sessile polyp may occur.* Reinke's edema is due to fluid collection in this subepithelial space ofReinke's.* It occurs between the age of 40-60 years.* Men and women are affected equally.* The main etiological factors are smoking and voice abuse.Clinical features* Hoarseness (most common).* Decreased voice pitch with rapid vocal fatigue.* On indirect laryngoscopyi) Vocal cords appear as fusiform swelling with pale translucent look.ii) Ventricular bands may be hyperaemic and hypertrophic.Treatment* Microsurgical removal of the edema while preserving the vocal ligament, with circumscribed resection of mucosa, i.e. Decortication of the vocal cord.* Bilateral Reinke's edema is operated in two stages 4-6 weeks apart to prevent anterior synechia.* Voice rest and speech therapy.